Zinc phosphide is -
1. Rodenticide
2. Insecticide
3. Larvicide
4. All

Correct answer: 1. Rodenticide

Explanation: Rodenticides They are 2 groups: 1) Single dose /acute(Zinc phosphide and Barium carbonate), 2) multiple doses/cumulative(warfarin, diphacinone, coumafuril, pindone). Zinc phosphide is an efficient single dose rodenticide. Rats are killed by about 3 hours. Due to the good safety record, low cost, and reasonably high effectiveness zinc phosphide is recommended for large scale use against rats. Park's Textbook of Preventive and Social Medicine, 25th Edition, Pg 847